Which of the following has least extra-pyramidal side effect?
1. Haloperidol
2. Fluphenazine
3. Clozapine
4. Flupenthioxol

Correct answer: 3. Clozapine

Explanation: Clozapine and risperidone are atypical neuroleptics with least extrapyramidal side effects among all an psychotics.